"Crumbled egg appearance" in liver is seen in?
1. Hepatic adenoma
2. Chronic amoebic liver abscess
3. Hydatid liver disease
4. Haemangioma

Correct answer: 3. Hydatid liver disease

Explanation: Ans is 'c' i.e., Hydatid liver disease